Fracture of which of the following bone causes leakage of cerebrospinal fluid through ear -
1. Mastoid process
2. Petrous temporal
3. Ethmoid plate
4. Cribriform plate

Correct answer: 2. Petrous temporal

Explanation: Ans. is 'b' i.e., Petrous temporal CSF otorrheao CSF otorrhea, i.e., leakage of cerebrospinal fluid through ear structure, is a rare but potentially life threatening situation that requires rapid intervention.o The underlying etiology of spinal fluid leak through temporal bone is a violation of the bony and meningeal barriers that separate the subarachoid space from the middle ear and mastoid, o This means that a defect must exist not only in the bone, but also in the dura matter.o Causes of CSF otorrhea are : -Congenital:- Defect in otic capsule.Acquired:- More common than congenital and cause are : -Surgery:- Post-operative leakage is the most common cause of CSF otorrhea. Surgical causes are acoustic neuroma removal, skull base surgeries and sometimes mastoid surgery.Trauma:- Fracture of petrous part of temporal can lead to CSF otorrhea.InfectionSpontaneous:- It is without an obvious antecedent pathology. There may be some defect in the temporal bone.